The outer covering of diatom is made of:
1. Magnesium
2. Silica
3. Hydrocarbons
4. None

Correct answer: 2. Silica

Explanation: Ans. Silica